Most abundant ion in intracellular fluid is:
1. Protein
2. Bicarbonate
3. Potassium
4. Sodium

Correct answer: 3. Potassium

Explanation: Ans. C: PotassiumIntracellular component of the body water accounts for about 40% of body weight and extracellular component for about 20%.Concentration of potassium in cytosol is 139 millimeter and of Amino acids (in proteins) is 138 millimeter,